Which of the following has prolonged inspiratory spasms that resemble breath holding?
1. Biot breathing
2. Apneustic breathing
3. Cheyne stokes breathing
4. Kussmaul breathing

Correct answer: 2. Apneustic breathing

Explanation: APNEUSTIC BREATHING - long inspiratory spasms (resembles breath holding) CHEYNE-STROKE BREATHING - apnea followed by hyperapnea KUSSMAUL RESPIRATION - increased depth and prolonged inspiration REGULARLY IRREGULAR - seen in meningitis See the attached treasure for further details.